Both vitamin K and vitamin C are involved in
1. The synthesis of clotting factors
2. Post trasnslational modification
3. Antioxidant mechanisms
4. Microsomal hydroxylation reactions

Correct answer: 2. Post trasnslational modification

Explanation: Both vitamin C and vitamin K are required for post translational modification
Vitamin C is required for post translational modification of proline & lysine in collagen synthesis.
Vit K is required for post translational modification of glutamate residue or generation of clotting factors.